Adverse effects of beta–blockers may include:
1. Congestive heart failure
2. Blunting of sympathetic response of oral hypoglycemic drugs
3. Bronchial asthma
4. All of above

Correct answer: 4. All of above